All of the following regarding acute graft rejection are true, except:
1. CD8+ T-cells directly destroy the graft
2. It is the principal cause of early graft failure
3. Preformed antibodies against graft are the main causative factor
4. Cytokines secreted by CD4+ T-cells cause inflammation which destroys the graft

Correct answer: 3. Preformed antibodies against graft are the main causative factor

Explanation: Hyperacute rejection is mediated by preformed antibodies specific for antigens on graft endothelial cells. Acute graft rejection: It occurs within days or weeks after transplantation and is the principal cause of early graft failure. Divided into two types: In acute cellular rejection, CD8+ CTLs may directly destroy graft cells, or CD4+ cells secrete cytokines and induce inflammation, which damages the graft. In acute antibody-mediated (vascular, or humoral) rejection, antibodies bind to vascular endothelium and activate complement the classical pathway